The risk of complex hyperplasia of the endometrium with atypia progressing to malignancy in a postmenopausal woman is about:
1. 3%
2. 8%
3. 15%
4. 28%

Correct answer: 4. 28%

Explanation: Ans. is 'd' i.e., 28% Endometrial hyperplasia The glandular hyperplasia's of the endometrium are benign conditions that may produce symptoms clinically indistinguishable from early endometrial carcinoma. Because of their association with hyperestrogenic states, some of the hyperplasias even though reversible, are considered premalignant lesions. Hyperplasias can be classified as simple or complex and with or without atypia. The rate of progression of these hyperplasia's to malignancy is. Hyperplasia without atypia Simple -1% Complex -3% Hyperplasia with atypia Simple -8% Complex -29% More about Endometria hyperplasia. Since endometrial hyperplasia and endometrial carcinoma present clinically as abnormal bleeding, thorough endometrial sampling or fractional curettage is always necessary when hyperplasia is present to rule out coexisting carcinoma. A) Hyperplasia without Atypia No nuclear atypia In general hyperplasia without atypia are considered nonmalignant or benign. B) Hyperplasia with Atypia Atypia present (Increased nuclear / Cytoplasmic ratio) Nucleus irregular with coarse chromatin clumping Generally considered premalignant